Oral contraceptive failure occurs with
1. Cimetidine
2. Rifampicin
3. Morphine
4. Ethanol

Correct answer: 2. Rifampicin

Explanation: (Rifampicin) (1628 - Man & Gillmann) (741-KDT 6th)CONTRACEPTION FAILURE - May occure if the following drugs are used concurrently(a) Enzyme inducers - Phenytoin, Phenobarbitone, Primidone, Carbamazepine, Rifampicin, Rifabutin(b) Suppression of intestinal micro flora - Tetracyclines Ampicilline Doxycycilline